Furosemide should not be administered with NSAIDS because?
1. Prevent platelet aggregation
2. Inhibit prostacyclin synthesis
3. Decrease sodium reabsorption
4. Increase the secretion of furosemide in urine

Correct answer: 2. Inhibit prostacyclin synthesis

Explanation: NSAIDs diminish the action of high ceiling diuretics by inhibiting the PG synthesis in the kidney, through which furosemide and related drugs act on the kidney. Antihypertensive action of thiazides and furosemide is also diminished by NSAIDs. REF -Essentials of medical pharmacology, K.D Tripathi, 6th edition, page 568